Size of uterus in inches:
1. 5x4x2
2. 4x3x1
3. 3x2x1
4. 4x2x1

Correct answer: 3. 3x2x1

Explanation: Ans. is c, i.e. 3x2x1 inchesRef: Jeffcoates Principle of Gynae 9/ed, pg 32Remember, best answer to this question is 3.25x2.5x1.5 inches.